Tension pneumothorax results in all except?
1. Respiratory alkalosis
2. Decreased cardiac output
3. Decreased venous return
4. Absent breath sounds

Correct answer: 1. Respiratory alkalosis

Explanation: Tension Pneumothorax :- Reduced blood supply to lungs | Affected lung has collapsed and contralateral lung will not be able to do the work of both the lungs. | This results in carbon dioxide retention ultimately leading to Respiratory Acidosis